Id reaction is associated with
1. apthous ulcer
2. herpetic stomatitis
3. syphilis
4. candidiasis

Correct answer: 4. candidiasis